Rate of activation with slow expansion is
1. 1 mm per day
2. 1 mm for 3 days
3. 1 mm for a month
4. 1 mm per week

Correct answer: 4. 1 mm per week